All are secreted in the stomach except?
1. Secretin
2. Hcl
3. Intrinsic factor
4. Mucous

Correct answer: 1. Secretin

Explanation: Gastrin produced by G cells in the pyloric gland is absorbed into the blood and carried to the oxyntic glands where it stimulates the parietal cells strongly to secrete hcl. And secretin is synthesized and secreted by S cells of duodenum (GANONG'S REVIEW OF MEDICAL PHYSIOLOGY)